b -blockers are used in all except?
1. Hypertension
2. Thyrotoxicosis
3. Variant angina
4. All of the above

Correct answer: 3. Variant angina

Explanation: Ans. is 'c' i.e., Variant angina We all know that attacks of variant angina occur due to coronary vasospasm. So, the drugs which relieve coronary vasospasms will be used in variant angina (C.C.B.'s, Nitrates) b blockers are contraindicated in these patients because 13 blockers, instead of dilating the coronary arteries constrict the coronary arteries (due to unopposed a mediated constriction). Remember, blockers are useful in classical angina. (They cause favourable redistribution of blood)